Which of the following methods is adopted for 
screening HIV infection?
1. Virus isolation
2. Western blot followed by ELISA
3. ELISA followed by western blot technique
4. Polymers chain reaction

Correct answer: 3. ELISA followed by western blot technique